In Fincham's test:
1. Glaucomatous halo remains intact
2. Halo due to immature cataract does not break into segments
3. Halo due to mucopurulent conjunctivitis is broken into segments
4. All of the above

Correct answer: 1. Glaucomatous halo remains intact

Explanation: Ans. Glaucomatous halo remains intact